Beheaded Scottish terrier sign is –
1. Spondylosis
2. Spondylolisthesis
3. Lumbar canal stenosis
4. Slipped disc

Correct answer: 2. Spondylolisthesis

Explanation: Oblique view of spine displays the lamina and articular processes more clearly than the classical anteroposterior & lateral views. The shadow of the neural arch resembles that of Scottish terrier dog.
Spondylolysis          → Scotty dog wearing a collar sign.
Spondylolisthesis     → (i) Beheaded Scotty dog sign;

                                                (ii) 'Inverted Napoleon's Hat' sign.